BCG is
1. Live attenuated vaccine
2. Killed vaccine
3. Toxoid
4. Immunosuppressant agent

Correct answer: 1. Live attenuated vaccine

Explanation: Ans. a (Live attenuated vaccine). (Ref. Park, PSM, 17th ed., 148)VACCINESLive attenuated vaccinesInactivated or killed vaccines1.BCG1.Typhoid2.Typhoid oral2.Cholera3.Plague3.Pertussis4.Mumps4.C.S. Meningitis5.Measles5.Plague6.Rubella6.Rabies7.Yellow fever7.Influenza8.OPV8.KFD vaccine9.Influenza9.Salk (Polio)10.Epi. typhus10.Hepatitis B 11.Japanese Encephalitis